A district has total population 10 lacs, with under 16 population beings 30%. The prevalence of blindness is 0.8/1000 among under 16 population. Calculate total number of blind among under 16 population in the district -
1. 240
2. 2400
3. 24000
4. 240000

Correct answer: 1. 240

Explanation: Ans. is 'a' i.e., 240 o In this question, population of under-16 is 3 lacs (30% of 10 lacs). o Prevalance of blindness is 0.8 every 1000 under-16 population. o So total number of blind among under-16 population = 0.8 x 300000/1000 = 240